Rigor mortis starts in :
1. Right iliac fossa
2. Left iliac fossa
3. Brain
4. Heart

Correct answer: 4. Heart

Explanation: D i.e. Heart